All of the following are helminthic water born disease except?
1. Roundworm
2. Threadworm
3. Hydatid cyst
4. Giardiasis

Correct answer: 4. Giardiasis

Explanation: Giardiasis is water born protozoal infection A. Biological (Water-borne diseases) Those caused by the presence of an infective agent:- a. Viral: Viral hepatitis A, hepatitis E, poliomyelitis, rotavirus diarrhea in infants b. Bacterial : Typhoid and parathyphoid fever, bacillary dysentery, Esch. coli diarrhea, cholera c. Protozoal: Amoebiasis, giardiasis d. Helminthic: roundworm, threadworm, hydatid disease. e. Leptospiral: Weil's disease 2. Those due to the presence of an aquatic host: a. Snail: schistosomiasis b. Cyclops: guineaworm, fish tape worm.